Genetic material is transferred from one bacteria to another by all EXCEPT:
1. Conjugation
2. Transduction
3. Transformation
4. Transfection

Correct answer: 4. Transfection

Explanation: Conjugation -A natural microbial recombination process. During conjugation a donor and a recipient come together, join by cytoplasmic bridges and transfer single stranded DNA. Inside the recipient the DNA will combine with chromosome which is rare or it will be remain free in case of plasmid Transduction - Transfer of DNA from one bacteria to another bacteria virus like bacteriophage Transformation - Transfer of DNA from dead bacteria or environment to another live bacteria Lipofection - Liposome mediated gene transfer. Liposome is lipid molecule that can carry nucleic acids. Transfection - DNA transfer into eukaryotic cell